One of the following is a definite sign of death due to drowning-
1. Sand and mud in the mouth and nostrils
2. Fine lathery froth in the mouth and nostrils
3. Washerman's hands and feet
4. Diatoms in bone marrow

Correct answer: 4. Diatoms in bone marrow